Atkin's diet is -
1. Protein restricted low calorie diet
2. Carbohydrate restricted low calorie diet
3. Fat restricted low calorie diet
4. Mineral restricted low calorie diet

Correct answer: 2. Carbohydrate restricted low calorie diet

Explanation: Carbohydrate restricted low calorie diet is called as Atkin's diet . Image ref - Harrison20th edition pg 98e